Histopathological feature of HIV encephalitis is/are-
1. Negri body
2. Lewy body
3. Fibrillary plaque
4. Microglial nodules

Correct answer: 4. Microglial nodules

Explanation: HIV encephalitis is a chronic inflammatory process with widely distributed microglial nodules, sometimes with associated foci of tissue necrosis and reactive gliosis. The microglial nodules also are found in the vicinity of small blood vessels, which show abnormally prominent endothelial cells and perivascular foamy or pigment-laden macrophages. These changes are especially prominent in the subcortical white matter, diencephalon, and brain stem. An important component of the microglial nodule is macrophage-derived multinucleate cells. In some cases, there also is a disorder of white matter characterized by multifocal or diffuse areas of myelin pallor, axonal swellings, and gliosis. HIV is present in CD4+ mononuclear and multinucleate macrophages and microglia. Ref: ROBBINS BASIC PATHOLOGY 10th Ed. pg no:867 Image Ref: ROBBINS BASIC PATHOLOGY 10th Ed. pg no:866, Fig 23.